Senescent RBC's are mainly attacked in:
1. Vivax malaria
2. Ovale malaria
3. Falciparum malaria
4. Quartan malaria

Correct answer: 4. Quartan malaria

Explanation: Ans. (d)Age of the RBC invaded:P. vivax-youngP. falciparum-all ages (young and old)P. malariae (Quartan fever)-old or senescentP. ovale-young